What are the boundaries of trauttman's triangle:
1. Bony labyrinth anteriorly
2. Sigmoid sinus posteriorly
3. Superior petrosal sinus superiorly
4. All of the above

Correct answer: 4. All of the above

Explanation: Ans.: A (Bony labyrinth anteriorly); B (Sigmoid sinus posteriorly); C (Superior petrosal sinus superiorly) "Trautmann's triangle is bounded by the bony labyrinth anteriorly sigmoid sinus posteriorly & the dura or superior petrosal sinus sunehorlv"- PL Dhinora 5th7462 Fig.: Various structures & landmarks seen after cortical mastoidectomy Trauttman's triangle : This triangle is a potential weak spot through which infections of temporal bone may traverse and affect cerebellum. Extra dural abscess involving the posterior cranial fossa is also possible wrhen thin bone in this triangle gets breached in infections / cholesteatoma involving mastoid cavity.Since bone in this area is rather thin it can be drilled out to enter into the posterior cranial fossa. This can be used as an approach to posterior cranial fossa lesions. The size of this triangle is highly variable depending on the size of the sigmoid sinus. A large sigmoid sinus reduces the size of this triangle and also increases the angulation of the superior petrosal sinus with it. This impedes the venous drainage predisposing to the development of endolymphatic hydrops"- site/drtbahssotolaryngolagy/otaiogy/trautman-s-triangle